Growth of oral structures is mainly influenced by factors:
1. Hereditary
2. Environmental
3. Hereditary-influenced by environmental factor
4. None of the above

Correct answer: 3. Hereditary-influenced by environmental factor

Explanation: Van Limborgh after review of the sutural theory, cartilaginous theory and functional matrix theory has summarized the following features:
1. Intrinsic genetic factor controls chondrocranial growth.
2. Epigenetic factors originating from skull cartilages and head tissues control desmocranial growth.
3. Local environmental factors, like tension forces and pressure, influence the growth of desmocranial growth.
4. General epigenetic and general environmental factors are less significant in craniofacial growth.
Key Concept:
Growth of oral structures is mainly inﬂuenced by factors Hereditary-inﬂuenced by environmental factors.